True about rash of chicken pox ?
1. Deep seated
2. Centripetal
3. Affects palm & sole
4. Slow evolution

Correct answer: 2. Centripetal

Explanation: Ans. is 'b' i.e., Centripetal